Which of the following is a specific risk factor for development of adenocarcinoma of ethmoid sinus?
1. Smoking
2. Nickel industry worker
3. Mustard gas exposure
4. Wood workers

Correct answer: 4. Wood workers

Explanation: Ans. is 'd' i.e., Wood workers * Paranasal sinus cancer is uncommon and represents only 0.2 to 0.8% of all malignancies.* Cancer of paranasal sinus constitutes 3% of all carcinomas of the aerodigestive tract.* The majority of paranasal sinus malignancies (50-80%) originate within the maxillary sinus antrum. Malignancies rarely occur within the other sinuses and originate in the ethmoid, frontal, and sphenoid sinuses in 10%, 1% and 1% respectively.* The cause of parasinus malignancy is unknown. However several risk factors have been associated and therefore it is seen more commonly in people working in hardwood furniture industry, nickel refining, leather work, and manufacturer of mustard gas.* More than 80% of the malignant tumours are of squamous cell variety. Rest are adenocarcinoma, adenoid cystic carcinoma, melanoma, and various type of sarcomas.* Workers of furniture industry (wood workers) develop adenocarcinoma of the Ethmoids and upper nasal cavity. While those engaged in Nickel refining get squamous cell and Anaplastic carcinoma.